The HIV fusion inhibitor, enfuvirtide, acts at the site
1. Gp 120
2. Gp 41
3. P24
4. CXCR4

Correct answer: 2. Gp 41